All are components of Guy ropes except
1. Sartorius
2. Gracilis
3. Semimembranosus
4. Semitendinosus

Correct answer: 3. Semimembranosus

Explanation: The muscles sartorius, gracilis and semitendinosus are referred as the guy ropes.Reference: Chaurasia Volume II; 7th edition; Page no: 110